Onion peel appearance of splenic capsle is seen in-
1. SLE
2. Scleroderma
3. RA
4. Sjogrens

Correct answer: 1. SLE

Explanation: The spleen may be moderately enlarged. Capsular fibrous thickening is common, as is follicular hyperplasia with numerous plasma cells in the red pulp. Central penicilliary arteries characteristically show thickening and perivascular fibrosis, producing onion-skin lesions. Robbins 9 th edition page no. 130